Beta-blockers are used in all of the following except:-
1. Essential tremors
2. AV block
3. Angina pectoris
4. Migraine prophylaxis

Correct answer: 2. AV block

Explanation: In AV block, HR is 40 bpm and b blockers further causes cardiac depression. Therefore they are avoided in this condition. In all other 3 conditions, b blockers are used.